Green discoloration on the surface of teeth is due to
1. Porphyra
2. Internal resorption
3. Nasmynth membrane
4. Silver

Correct answer: 3. Nasmynth membrane